Right heart border is mainly formed by
1. Right atrium
2. Superior vena cava
3. Right ventricle
4. Inferior vena cava

Correct answer: 1. Right atrium

Explanation: Right heart border: SVC, Rightatrium, Ivc mainly by Right atrium.